Phyllodes tumor most commonly presents in ?
1. 2nd decade
2. 3rd decade
3. 4th decade
4. 6th decade

Correct answer: 4. 6th decade

Explanation: Ans. is 'd' i.e., 6th decade Phyllodes tumors, like fibroadenomas, arise from intralobular stroma of breast, but are much less common. Although they can occur at any age, most present in the sixth decade, 10 to 20 years later than the peak age for fibroadenomas.